Super abrasive is
1. Sand
2. Silicon carbide
3. Diamond
4. Aluminum oxide

Correct answer: 3. Diamond